Most common type of lupus nephritis
1. Memberanous
2. Mesangial
3. Focal proliferative
4. Diffuse proliferatione

Correct answer: 4. Diffuse proliferatione

Explanation: Diffuse proliferative nephritis (DPN) or glomerulonephritis (DPGN) is a type of glomerulonephritis that is the most serious form of renal lesions in SLE and is also the most common, occurring in 35% to 60% of patients. Most of the glomeruli show endothelial and mesangial proliferation affecting the entire glomerulus, leading to diffuse hypercellularity of the glomeruli, producing in some cases epithelial crescents that fill Bowman's space. Here in this diffuse proliferation of lupus nephritis is most common. Ref: emedicine.medscape.com